Thudichum's nasal speculum is used to visualize -
1. Tonsils
2. Larynx
3. Anterior nasal cavity
4. Posterior nares

Correct answer: 3. Anterior nasal cavity